The stimulant drug is given to the child for -
1. Conduct disorder
2. Speech developmental disorder
3. Pervasive disorder
4. ADHD

Correct answer: 4. ADHD

Explanation: Stimulants (like methylphenidate, dextroamphetamine) are the drugs of choice for ADHD.